The ttreatment of peptic ulcer involves:
1. Antacids
2. Ranitidine
3. Sucralfate
4. All

Correct answer: 4. All